Definite markers for hepatoblastoma is-
1. LDH
2. Alpha-fetoprotein (AFP)
3. HCG
4. Alkaline phosphatase

Correct answer: 2. Alpha-fetoprotein (AFP)

Explanation: Hepatoblastoma  

Hepatoblastorna is the most common primary hepatic tumor of childhood. Rare cases of adult hepatoblastoma have been reported, but overall, the median age of presentation is 18 months, & almost all cases occur before the age of 3 years.
Recently it has been associated with familial polyposis syndrome.
Most often, this tumor presents as an asymptomatic mass.
It arises from right lobe 3 times more than left.
Serum APP is elevated in 85-90% of patients and can serve as a useful marker for therapeutic response.